Active artificial immunization is induced by the administration of all of the Following EXCEPT
1. Bacterial products
2. Toxoids
3. Vaccines
4. Antitoxins

Correct answer: 4. Antitoxins